Carpopedal spasm in hyperventilation occurs because
1. Increased calcium uptake by sarcoplasmic reticulum of muscles
2. Increased calcium uptake by bones
3. Increased calcium binding to plasma protein
4. Increased urinary excretion of calcium

Correct answer: 3. Increased calcium binding to plasma protein

Explanation: Answer- C. Increased calcium binding to plasma proteinCarpopedal spasm and tetany is due to hypocalcemia."The alkalosis that result from hyperventilation may worsen the hypocalcemia by increasing the fraction ionized calcium bound to plasma protein.